Not recommended for management of Tumour lysis syndrome?
1. Allopurinol
2. Febuxostat
3. Urinary alkalinisation using soda bicarbonate
4. Rasburicase

Correct answer: 3. Urinary alkalinisation using soda bicarbonate

Explanation: Tumor lysis syndrome Rx: IV fluids Rasburicase Allopurinol Febuxostat (Soda Bicarbonate) alkalinisation of urine is not advantage for TLS.